Fibroblast is derived from -
1. Local mesenchyme
2. Macrophage
3. Endothelium
4. Vessels

Correct answer: 1. Local mesenchyme

Explanation: Ans. is 'a' i.e., Local mesenchymeFibroblasts are derived from mesenchyme.